Action of intramedullary 'K' nail is
1. Two-point fixation
2. Three-point fixation
3. Compression
4. Weight concentration

Correct answer: 2. Three-point fixation

Explanation: B i.e. Three - point fixation